In congenital pyloric stenosis the defect usually lies in the antral:
1. Nerve fibers
2. Circular muscle fibers
3. Longitudinal muscle fibers
4. Mucosa

Correct answer: 2. Circular muscle fibers

Explanation: Ans. (b) Circular muscle fibersRef: Bailey and Love 26th Edition, Page 113* Circular muscle hypertrophy results- hence pyloromyotomy we cut these muscles